Residual volume is the volume of air in lung after
1. Maximal inspiration
2. Maximal expiration
3. Normal inspiration
4. Normal Expiration

Correct answer: 2. Maximal expiration

Explanation: The air left in the lungs after a maximal expiratory effort is the residual volume.Ref: Ganong review of medical physiology 23rd edition Page no: 593